Hypercalcemia is seen in which cancer
1. RCC
2. Carcinoma stomach
3. Small cell carcinoma lung
4. Hepatocellular carcinoma

Correct answer: 1. RCC

Explanation: Ref:Textbook of pathology (Harsh mohan) 6th edition,page no.695 CLINICAL FEATURES. Renal cell carcinoma is generally a slow-growing tumour and the tumour may have been present for years before it is detected. The classical clinical evidence for diagnosis of renal cell carcinoma is the triad of gross haematuria, flank plain and palpable abdominal mass. The most common presenting abnormality is haematuria that occurs in about 60% of cases. By the time the tumour is detected, it has spread to distant sites haematogenous route to the lungs, brain and bone, and locally to the liver and perirenal lymph nodes. Systemic symptoms of fatiguability, weight loss, cachexia and intermittent fever unassociated with evidence of infection are found in many cases at presentation. A number of paraneoplastic syndromes due to ectopic hormone production by the renal cell carcinoma have been described. These include polycythaemia (by erythropoietin), hypercalcaemia (by parathyroid hormone and prostaglandins), hypertension (by renin), effects of feminisation or masculinisation (by gonadotropins) and Cushing's syndrome (by glucocorticoids).